All are true statement regarding memory except
1. Structural changes occur in synapses during the development of long-term memory
2. Short term memory last as long as the person continues to think
3. The site for storage of long term memory is in temporal lobe
4. Bilateral loss of hippocampal function leads to loss of the ability to encode events of the recent past in long term memory

Correct answer: 3. The site for storage of long term memory is in temporal lobe

Explanation: C i.e. The site for storage of long term memory is in temporal lobe - Mechanism of learning and long term memory include gene activation leading to tprotein synthesis & spatial reorganization (restructuring) of synapse changing their sensitivity by increasing the number of transmitter vesicles / vesicle release sites / level of neurotransmitter at synapse / presynaptic terminals as well as changes in dendritic spine that permit transmission of stronger signals. Change in number of neuron & their connectivity is significant in initial week / month / years of life but this recruitment of neurons is from already existing pool (not by multiplication) mainlyQ - Hippocampus (in medial temporal lobe) is the site where short term memory is processed and converted into long term memoryQ. While the encoding process for short term explicit memory involves hippocampus, long term memories are stored in various parts of neocortexQ. Short term memory lasts as long as the person continues to think. Intermediate memory results from temporary changes in synapses, whereas structural changes occur in synapses during development of long term memory.